Investigation of choice for evaluating a renal mass is -
1. Plain X-ray
2. CT scan
3. IVP
4. Renal scintigraphy

Correct answer: 2. CT scan

Explanation: Ans. is 'b' i.e., CT scan "Computed Tomography is still the investigation of for evaluating and characterizing solid renal masses." -Grainger 6th/eImportant investigations in genitor-urinary systemo Investigation of choice for renal and ureteric stones - non - contrast spiralo Most commonly used investigation to diagnose urinary tract obstruction- USG.o Most commonly used initial investigation of urinary tract malignancies (kidney, bladder) - USGo Investigation of choice for diagnosis and staging of RCC - contrast - enhanced CTo Investigation of choice to detect I VC and renal vein involvement in RCC - MRI (1st choice), Doppler USG (2nd choice)o Investigation of choice for hydronephrosis - USGo Investigation of choice for vesicourethral reflex - voiding (micturating) cystourethrogramo Investigation of choice for posterior urethral valve - voiding / micturating cystourethrogramo Best method to visualize posterior urethra - voiding cystourethrogram.o Investigation of choice for pyonephrosis - USG